Prophylactic drug of choice for diphtheria is:
1. Tetracycline
2. Cefaclor
3. Ceftriaxone
4. Erythromycin

Correct answer: 4. Erythromycin

Explanation: Penicillin and erythromycin are the only antibiotics recommended for treatment. Both antibiotics are equally effective in resolving fever and local symptoms. However, erythromycin has been shown to be marginally superior. DOC- for carriers or for prophylaxis- Erythromycin for 10- 14 days.